Treatment of metastatic disease in retinoblastoma is –
1. Chemotherapy
2. Enucleation
3. Radiotherapy
4. Cryo

Correct answer: 1. Chemotherapy

Explanation: Treatment of choice for metastasis is chemotherapy.